Application of the Lost-wax technique for the fabrication of cast inlay was first reported by:
1. Taggart
2. Planteau
3. Ash
4. Charles

Correct answer: 1. Taggart

Explanation: In his 1907 US Patent #865823, Taggart described a method of making gold inlays using the lost wax technique. It led casting of onlays, crowns, multiple-unit fixed dental prostheses (FDPs), and frameworks for removable partial dentures.
Planteau, a French dentist, first introduced porcelain teeth in the United States in 1817. 
Ash further developed an improved porcelain tooth in England around 1837.
In 1822 Charles Peale, an artist, fired mineral teeth in Philadelphia.

Ref: Phillips Ed 12th P:8